Which of the following is an anti-apoptotic gene?
1. C-myc
2. p53
3. bcl-2
4. bax

Correct answer: 3. bcl-2

Explanation: Ans. (c) bcl-2